In Chandler Index denominator used is
1. Per gram of stools
2. Per 100 gram of stools
3. Average number of eggs
4. Average number of adult worms

Correct answer: 1. Per gram of stools

Explanation: Chandler Index is the average number of hookworm eggs per gram of faeces for the entire community. Ref : Park 23rd edition Pgno : 243